Steroidal prohormone is:
1. Vitamin A
2. Vitamin C
3. Vitamin D
4. None of these

Correct answer: 3. Vitamin D

Explanation: Ans. C. Vitamin DVitamin D is a steroid prohormone. It is represented by steroids that occur in animals, plants and yeast. Active form of the hormone is 1, 25-dihydroxy vitamin D3 (1, 25-(OH)2D3, also termed calcitriol). Calcitriol functions primarily to regulate calcium and phosphorous homeostasis.